Which part is high sensitive to radioactivity:
1. Adult bone
2. Growing skin
3. Pancreas
4. CNS

Correct answer: 2. Growing skin

Explanation: Radio sensitivity of different cells or tissues: White blood cells (lymphocytes) Red blood cells (erythrocytes) Immature reproductive cells Epithelial cells Endothelial cells Connective tissue cells Bone cells Nerve cells Brain cells Muscle Ceells